Decompression of tension pneumothorax using a needle would be done under which step of ABCDE of trauma care
1. A
2. B
3. C
4. D

Correct answer: 2. B

Explanation: Acute tension pneumothorax, flail chest with contusion, massive haemothorax and open pneumothorax are examples of life-threatening injuries that must be identified in the primary survey, i.e. they are not radiological diagnosis. Treat pneumothorax, haemothorax and tension pneumothorax with a tube thoracostomy. As an emergency measure in tension pneumothorax, immediately decompress with the insertion of a needle into the pleural space in the mid-clavicular line two finger.